Occlusion of internal carotid artery causes all EXCEPT\
1. Ataxia
2. Unilateral blindness
3. Hemiparesis
4. Hemiplegia

Correct answer: 1. Ataxia

Explanation: (A) Ataxia # INTERNAL CAROTID ARTERY> The clinical picture of internal carotid occlusion varies depending on whether the cause of ischemia is propagated thrombus embolism, or low flow.> When the origins of both the ACA and MCA are occluded at the top of the carotid artery, abulia or stupor occurs with hemiplegia, hemianesthesia, and aphasia or anosognosia.> When the PCA arises from the internal carotid artery (a configuration called a fetal posterior cerebral artery), it may also become occluded and give rise to symptoms referable to its peripheral territory.> In addition to supplying the ipsilateral brain, the internal carotid artery perfuses the optic nerve and retina via the ophthalmic artery.> In about 25% of symptomatic internal carotid disease, recurrent transient monocular blindness (amaurosis fugax) warns of the lesion.